Not true about iodophores ?
1. Inorganic compounds
2. Release iodine
3. Surfactants
4. Disifectant

Correct answer: 1. Inorganic compounds

Explanation: Ans. is 'a' i.e., Inorganic compounds Iodine Iodine is more sporicidal than chlorine. Iodine is often used in aqueous and alcoholic solution as skin disinfectant. Aqueous and alcohol based povidone iodine preparations (Betadine) are best and safe skin disinfectants (antiseptics). Iodophores are organic compounds that slow the release of iodine. The iodophores additionally serve as surfactants, thus increasing penetration while simultaneous steadily supplying iodine over long periods. So, iodophores are more active.